A person has different multiple personalities is suffering from -
1. Mania
2. Personality disorder
3. Paranoid schizophrenia
4. Dissociative disorder

Correct answer: 4. Dissociative disorder

Explanation: More than one personality appears to possess the individuals, showing their characteristic behavior is seen in dissociative identity (multiple personality) disorder.